Hydrogen sulphide acts on which complex of cytochrome oxidase
1. Comlex I
2. Comlex II
3. Comlex III
4. Comlex IV

Correct answer: 4. Comlex IV

Explanation: Complex IV inhibitors i. Carbon monoxide, inhibits cellular respiration ii. Cyanide (CN-) iii. Azide (N3-) iv. Hydrogen sulphide (H2S)Ref: DM Vasudevan Textbook of Medical Biochemistry, 6th edition, page no: 234